The most important action of beta-blockers in glaucoma is :
1. Membrane stabilizing effect
2. Refinal neuron protecting effect
3. Decrease in the production of aqueous humor
4. Pupillary constriction

Correct answer: 3. Decrease in the production of aqueous humor

Explanation: Ref: KD Tripathi pharmacology 7th edition (page.no: 144) Topical b blockers are one of the first-line drug for glaucoma In contrast to miotics, the b blockers do not affect pupil size, the tone of ciliary muscle or outflow facility, but lower i.o.t. by reducing aqueous formation. This probably results from down-regulation of adenylyl cyclase due to b 2 receptor blockade in the ciliary epithelium and a secondary effect due to a reduction in ocular blood flow.